Which is not true regarding varicocele -
1. Testicular veins involved
2. More common on the right side
3. May be the first feature of a renal tumour
4. Feels like a bag of worms

Correct answer: 2. More common on the right side

Explanation: Ans:B.)More common on Right Side.VaricoceleA varicocele is an abnormal enlargement of the pampiniform venous plexus in the scrotum. This plexus of veins drains blood from the testicles.The varicoceles might be noticed as soft lumps, usually above the testicle and mostly on the left side of the scrotum. Some people who have them feel pain or heaviness in their scrotum. An obvious varicocele is often described as feeling like a bag of worms.Varicoceles are much more common (approximately 80-90%) in the left testicle than in the right because of several anatomic factors, including the following:The angle at which the left testicular vein enters the left renal veinThe lack of effective antireflux valves at the juncture of the testicular vein and renal veinThe increased renal vein pressure due to its compression between the superior mesenteric artery and the aorta (ie, nutcracker effect).Varicocele may be seen in Renal Tumor due to obstruction of the testicular vein